Radiological investigation shows sun ray appearance;diagnosis is -
1. Osteosarcoma
2. GCT
3. Osteomyelitis
4. Ewing's sarcoma

Correct answer: 1. Osteosarcoma

Explanation: In exams like AIIMS and AI, only best option has to be chosen and here osteosarcoma is best option.